Activities of daily living to MR child can be taught by
1. Self instruction
2. Cognitive therapy
3. Contingency management
4. Cognitive remediation

Correct answer: 3. Contingency management

Explanation: Self -Instruction is used in substance abuse where the person keeps on instructing oneself for not taking the substance,Cognitive Behaviour therapy is based on correcting the faulty cognitive distortions and faulty ideas and belief ,,All needing normal IQ. Token economy is a component of Contingency management, wherein the Consequence is contingent upon the action done in articular manner.